Burning feet syndrome is due to deficiency of ?
1. Niacin
2. Folic acid
3. Vitamin B12
4. Pantothenic acid

Correct answer: 4. Pantothenic acid

Explanation: Ans. is 'd' i.e., Pantothenic acid